All are true about appendicitis except.
1. Pain on flexion and external rotation
2. Pain on flexion and internal rotation
3. Pain in right illiac fossa on deep palpation of left iliac fossa
4. Right illiac fossa tenderness

Correct answer: 1. Pain on flexion and external rotation

Explanation: Ans A. Pain on flexion and external rotation